Anterior compartment of leg contains all except -
1. Peroneus brevis
2. Tibialis anterior
3. External haiiucis Iongus
4. External digitalis Iongus

Correct answer: 1. Peroneus brevis

Explanation: Ans. is 'a' i.e., Peroneus brevis Muscles of the anterior compartment of the leg and dorsum of the footMusclesNerve supplyAction1. Tibialis anteriorDeep peroneal nervea) Dorsiflexor of footb) Invertor of the footc) Keeps the leg vertical while walking on uneven groundd) Maintains medial longitudinal arch of the foot2. Extensor hallucis longusDeep peroneal nerveDorsiflexor of foot and extends metatarsophalangeal and interphalangeal joints of the big toe.3. Extensor digitorum longusDeep personal nerveDorsiflexor of the foot. Extends metatarsophalangeal, proximal and distal interphalangeal joints of 2nd-5th toes.4. Peroneus TertiusDeep peroneal nerveDorsiflexor of foot and evertor of the foot.5. Extensor digitorum brevisLateral terminal branch of the deep peroneal nerveMedial tendon known as extensor hallucis brevis extends metatarsophalangeal joint of the big toe. The other three lateral tendons extend the metatarsophalangeal and interphalangeal joints of 2nd, 3rd, and 4th toes, particularly in a dorsiflexed foot.Muscles of the lateral compartment of the leg The peroneal musclesMusclesNerve supplyAction1. Peroneus IongusSuperficial peroneal nervea) Everton of foot especially when the foot is off the groundb) Maintain lateral longitudinal arch and transverse arch of the foot.Peroneus longus and tibialis anterior are inserted into the same two bones, the two together form a 'stirrup' beneath the middle of the sole. The presence of the sling keeps the middle of foot pulled up and prevents flattening of its arches.2. Peroneus brevisSuperficial peroneal nerveEvertor of foot